Best view for mandile is -
1. Antero-posterior
2. Lateral
3. Oblique
4. Orthopentomogram

Correct answer: 4. Orthopentomogram